Most common area where prism-less or structure-less enamel is found:
1. Cervical area.
2. Cusp tip.
3. Incisal edge.
4. All of the above.

Correct answer: 1. Cervical area.

Explanation: Most common area where prism less or structure less enamel found – Cervical area.
Least common area where prism less or structure less enamel found – Cusp tip.